Which Permanent tooth has most prominent transverse ridge
1. Lower 1stpremolar
2. Upper 1stpremolar
3. Lower 1st molar
4. Upper 2ndmolar

Correct answer: 1. Lower 1stpremolar